Beta blocker which increases HDL-cholesterol is:
1. Celiprolol
2. Nebivolol
3. Carvedilol
4. Metoprolol

Correct answer: 1. Celiprolol

Explanation: With stimulation of b receptor, there is improvement in cholesterol level : | LDL, | TG and | HDL.With blockage of b receptor:- | LDL| TG| HDLBut b Blocker like Celiprolol which is partial agonist due to its intrinsic sympathomimetic activity --> increase HDL level. Other partial b agonist activity are:- Pindolol Bopindolol Acebutolol Carteolol